The inheritance of Von Hippel-Lindau (VHL) disease is
1. Autosomal recessive
2. Autosomal dominant
3. X linked recessive
4. X linked dominant

Correct answer: 2. Autosomal dominant

Explanation: (B) Autosomal dominant# Von Hippei-Lindau disease (VHL) is a rare, autosomal dominant genetic condition in which hemangioblastomas are found in the cerebellum, spinal cord, kidney and retina. These are associated with several pathologies including renal angioma, renal cell carcinoma and phaeochromocytoma. VHL results from a mutation in the von Hippei-Lindau tumor suppressor gene on chromo- some 3p25.3.> Von Hippei-Lindau (VHL) is a genetic condition involving the abnormal growth of blood vessels in some parts of the body which are particularly rich in blood vessels. It is caused by a flaw in one gene, the VHL gene, on the short arm of chromosome 3, which regulates cell growth.